All of the following are seen in Homer's syndrome except:
1. Enophthalmos
2. Hyperhydrosis
3. Miosis
4. Ptosis

Correct answer: 2. Hyperhydrosis

Explanation: Ans. B: Hyperhydrosis Homer's syndrome is characterized by an interruption of the oculosympathetic nerve pathway somewhere between its origin in the hypothalamus and the eye. The classic clinical findings associated with Homer's syndrome are: Ptosis, Pupillary miosis and Facial anhidrosis. Other findings may include apparent enophthalmos, increased amplitude of accommodation, heterochromia of the irides (if it occurs before age two), paradoxical contralateral eyelid retraction, transient decrease in intraocular pressure and changes in tear viscosity. In children Homer's syndrome sometimes leads to a difference in eye color between the two eyes (heterochromia).This happens because a lack of sympathetic stimulation in childhood interferes with melanin pigmentation of the melanocytes in the superficial stroma of the iris.